Temporal lobe contains
1. Broca's area
2. Prefrontal area
3. Primary visual area
4. Primary auditory area

Correct answer: 4. Primary auditory area

Explanation: Primary auditory area (41,42) and secondary auditory area(22) both are in temporal lobe